Because of its accuracy and reproducible peripheral form, impression plaster is good material for:
1. Retention
2. Support
3. Stability
4. All of the above

Correct answer: 1. Retention